Marfan syndrome is due to
1. Fibrillin 1 defect
2. Fibrillin 2 defect
3. Fibrillin 3 defect
4. Fibrillin 4 defect

Correct answer: 1. Fibrillin 1 defect